Most common source of Diphtheria-
1. Case
2. Carrier
3. Both
4. None

Correct answer: 2. Carrier

Explanation: Carriers are common sources of infection, their ratio is estimated to be 95 carriers for 5 clinical cases. Ref:PARK'S TEXTBOOK OF PREVENTIVE AND SOCIAL MEDICINE 23rd edition , Page 160